All pass through superior orbital fissure EXCEPT:
1. Mandibular nerve
2. Abducens nerve
3. Trochlear nerve
4. Occulomtor nerve

Correct answer: 1. Mandibular nerve

Explanation: Ans. (a) Mandibular nerveRef. Keith L. Moore 5th ed. / 899* Superior orbital fissure: Located between the greaterand lesser wings, it communicates with the orbit and transmits the ophthalmic veins and nerves (CN III, CN IV, CN Vj, CN VI, and sympathetic fibers) entering the orbit.The nerves passing through superior orbital fissure are remembered as:Live Free To See No Insult At All* L: Lacrimal nerve* F: Frontal nerve (a branch of the ophthalmic nerve)* T: Trochlear nerve (CN IV)* S: Superior division of the oculomotor nerve (CN III)* N: Nasociliary nerve (a branch of the ophthalmic nerve)* I: Inferior division of the occulomotor nerve (CN III)* At All: Abducens nerve (CN VI)